Bitot spots are seen in?
1. Bulbar conjunctiva
2. Palpebral conjunctiva
3. Cornea
4. Eyelid

Correct answer: 1. Bulbar conjunctiva

Explanation: Ans. (a) Bulbar conjunctivaRef Kanski 7/e, p. 210Bitot spots are triangular patches of foamy keratinized epithelium in the interpalpebral zone (elliptic space between the medial and lateral canthi of the two open lids) thought to be caused by Corynebacterium xerosis.Interpalpebral zone-sclera and thus bulbar conjunctiva is seen as involved.